All of the following are responsible for internal rotation of shoulder joint EXCEPT
1. Infraspinatus
2. Teres Major
3. Deltoid
4. Pectoralis Major

Correct answer: 1. Infraspinatus

Explanation: (A) Infraspinatus # Muscles responsible for internal rotation of shoulder joint: Teres Major Deltoid Pectoralis Major